Handedness develops by age of
1. 2 years
2. 3 years
3. 4 years
4. 5 years

Correct answer: 2. 3 years

Explanation: Handedness is usually established by the 3rd year. Frustration may result from attempts to change children's hand preference, Variations in fine motor development reflect both individual proclivities and different opportunities for learning. Children who are seldom allowed to use crayons, for example, develop a mature pencil grasp later.(Refer: Nelson's Textbook of Pediatrics, SAE, 1st edition, pg no. 77)